Parapharyngeal space is also known as:
1. Retropharyngeal space
2. Pyriform sinus
3. Lateral pharyngeal space
4. All

Correct answer: 3. Lateral pharyngeal space

Explanation: The parapharyngeal space (also termed the lateral pharyngeal space), is apotential space in the head and the neck. It has clinical importance in otolaryngology due toparapharyngeal space tumours and parapharyngeal abscess developing in this area.